Submandibular nodes are classified as
1. Level 1 A neck nodes
2. Level 1B neck nodes
3. Level II neck nodes
4. Level III neck nodes

Correct answer: 2. Level 1B neck nodes

Explanation: Level 1A =Submental Node Level1B = Submandibular nodes, lie between the anterior and posterior bellies of digastric muscle and the lower border of mandible. Level II=Upper Jugular Nodes Level III=Middle Jugular Nodes Ref: Textbook of ENT; Dhingra; 6th edition; Page no: 387; Table 76 ref img